Refractory gastric ulcer is defined as.
1. Ulcer that fails to heal despite 4 weeks of regular proper dose PPI
2. Ulcer that fails to heal despite 8 weeks of regular proper dose PPI
3. Ulcer that fails to heal despite 12 weeks of regular proper dose PPI
4. Ulcer that fails to heal despite 16 weeks of regular proper dose PPI

Correct answer: 3. Ulcer that fails to heal despite 12 weeks of regular proper dose PPI

Explanation: Refractory gastric ulcer - Fails to heal by 3 month of regular proper dose PPI (Reason could be - Zollinger Ellison syndrome) Refractory Duodenal Ulcer : > 8 weeks with regular PPI Treatment Refractory Gastric Ulcer : > 12 weeks